Which the following about paradoxical undressing is true
1. Seen in sexual assault cases
2. Due to the failure of peripheral vasodilation
3. The victim may be forced to undress due to threat/ influence
4. Seen in hypothermic deaths

Correct answer: 4. Seen in hypothermic deaths

Explanation: RECIPROCAL OR PARADOXICAL UNDRESSING: This condition is seen in hypothermic deaths. Seen in accidental hypothermia, particularly in old persons. Mechanism: The exact cause is not known. The victim becomes disoriented and confused , and may discard the the clothing he has been wearing, which in turn increases the rate of temperature loss. Another hypothesis is that prolonged exposure to severe cold may produce paralysis of the thermal regulatory mechanism. This causes failure of vasoconstriction of arterioles of the skin ,which causes increased blood flow to the skin causing an abnormal sensation of warmth. The person may undress himself due to discomfort ,the victim may be found dead in naked or seminaked position.